Cozen test is positive in :-
1. Pulled elbow
2. Skiers thumb
3. Tennis elbow
4. Golfer's elbow

Correct answer: 3. Tennis elbow

Explanation: Tennis elbow a/k/a lateral epicondylitis. inflammation of comman extensor origin (ECRB>ECRL) Dx- COZEN TEST-- Wrist dorsiflexion resisted by causing pain.